A man presents with fever and chills 2 weeks after a louse bite. There was a maculo-papular rash on the trunk which spread peripherally. The cause of this infection can be
1. Scrub typhus
2. Endemic typhus
3. Epidemic typhus
4. Rickettsial pox

Correct answer: 3. Epidemic typhus